Nonlmmune hydrops foetalis is seen In all except:
1. b - Thalassemia
2. Parvovirus-19
3. Rh-incompatibility
4. Chromosomal anomaly

Correct answer: 3. Rh-incompatibility

Explanation: Rh-incompatibility